Which of the following agents are useful in the medical treatment of variceal bleeding?
1. Octreotide
2. Pantoprazole
3. Somatotropin
4. Dexamethasone

Correct answer: 1. Octreotide